The commonest space-occupying lesion in the cerebellopontine angle is
1. Meningioma
2. Glioma
3. Neurofibroma
4. Acoustic neuroma

Correct answer: 4. Acoustic neuroma

Explanation: Common tumors of CP (cerebellopontine) angle are 1. Acoustic neuroma (commonest: 80- 90%) 2. Meningioma (2nd commonest: 5- 10%) Ref: Harrison; 20th edition , pubmed.com